Papillary carcinoma of thyroid is spread via?
1. Lymphatic
2. Hematogenous
3. Local spread
4. All of the above

Correct answer: 1. Lymphatic

Explanation: Ans. (a) LymphaticRef: Bailey & Love 26th ed. / 765* Lymphatic spread is common for papillary carcinoma thyroid whereas follicular carcinoma thyroid spreads via the blood stream. In papillary carcinoma thyroid, total thyroidectomy is performed and approximately 4-6 weeks after surgical thyroid removal, patients must have radioiodine therapy to detect and destroy any metastasis and residual tissue in the thyroid. Administer therapy until radioiodine uptake is completely absent. Radioiodine treatment may be used again 6-12 months after initial treatment of metastatic disease where disease recurs or has not fully responded.